Drug used to perform stress ECHO –
1. Thallium
2. Dobutamine
3. Adrenaline
4. Adenosine

Correct answer: 2. Dobutamine

Explanation: Stress echocardiography is done either by Physical stress (Exercise :- treadmill or cycling) or by pharmacological stress (dobutamine).